A child presents with perioral rash and pigmentation of palmar area. What is the cause?
1. Selenium deficiency
2. Manganese deficiency
3. Copper deficiency
4. Zinc deficiency

Correct answer: 4. Zinc deficiency

Explanation: Option A: Selenium deficiency shows cardiomyopathy.
Option B: Manganese deficiency presents with hypercholesterolemia and weight loss.
Option C: Copper deficiency leads to neurological manifestations.